In comparison to breast milk, colostrum has higher content of:
1. Carbohydrates
2. Fat
3. Sodium
4. Potassium

Correct answer: 3. Sodium

Explanation: Ans. is c, i.e. SodiumRef. Dutta Obs 7/e, p 148Colostrum is a deep yellow serous fluid secreted from breasts starting from pregnancy and for 2-3 days after delivery.CompositionIt has higher specific gravity and higher protein, Vitamin A, D, E, K, immunoglobulin, sodium and chloride content than mature breast milk.It has lower carbohydrate, fat and potassium than mature milk.AdvantagesAntibodies (IgA, IgG, IgM) and humoral factor (lactoferrin) provide immunological defence to the new born.Laxative action due to fat globules.It is an ideal natural starter food.Extra Edge ProteinFatCarbohydrateWaterColostrum8.62.33.286Breast milk1.23.27.587